All are true about scleritis except?
1. painless condition
2. glaucoma may occur
3. necrotising scleritis is more severe and destructive form
4. Anterior scleritis pain worsens at night

Correct answer: 1. painless condition